The causes of retention of urine in obstetrics and gynaecology is / are :
1. lmpacted ovarian tumour
2. Retroversion
3. Hemotocolps
4. All

Correct answer: 4. All

Explanation: All